A patient of thrombosis of veins has been receiving coumarin therapy for three years.Recently she developed bleeding tendency.How will reverse the effect of coumarin therapy?
1. Protamine injection
2. Vit K injection
3. Infusion of fibrinogen
4. Whole blood transfusion

Correct answer: 2. Vit K injection

Explanation: The specific antidote is Vit K1 oxide. It allows of the synthesis of clotting factors . But even on IV administration, the response to K1 oxide needs several hours. Hence in emergency, fresh whole blood is necessary to counter the effects of oral anticoagulant. Protamine sulphate is heparin antagonist. From medical pharmacology padmaja 4th edition Page no 339,340